Aflatoxin is produced by ?
1. Aspergillus niger
2. Aspergilus flavus
3. Candida albicans
4. Actinomycetes

Correct answer: 2. Aspergilus flavus

Explanation: Aflatoxins are a group of mycotoxins produced by certain fungi,Aspergillus flavusREF.PARK'S TEXTBOOK OF PREVENTIVE AND SOCIAL MEDICINE.Editon-21.Page no.-608